Inversion of the foot is produced by:
1. Peroneus longus
2. Soleus
3. Popliteus
4. Tibialis anterior

Correct answer: 4. Tibialis anterior

Explanation: Ans. D. Tibialis anteriorInversion and eversion refer to movements that tilt the sole of the foot away from (eversion) or towards (inversion) the midline of the body. This movement occurs at subtalar joint. Eversion is the movement of the sole of the foot away from the median plane. Inversion is the movement of the sole towards the median plane.Inversion of the foot is produced by tibialis anterior & tibialis posterior. Eversion of the foot is produced by Peroneus longus & brevis.